Inlet of larynx is formed by
1. True vocal cords
2. False vocal cords
3. Vocal folds
4. Aryepiglotic folds

Correct answer: 4. Aryepiglotic folds

Explanation: Inlet of the larynx is formed by Aryepiglottic folds. Inlet of the larynx is an oblique opening bounded anteriorly by a free margin of the epiglottis; on the sides, by aryepiglottic folds and posteriorly by Interarytenoid fold. True vocal cord or vocal folds are two pearly white sharp bands extending from the middle of thyroid angle to the vocal processes of carotenoids. False vocal cord or vestibular folds are two in number and consists of the vestibular ligament. Ref: PL Dhingra Textbook of Ear, Nose and Throat, Edition 7th, page- 321